The most common cause of pathological fracture is
1. Delayed union
2. Mal union
3. Non union
4. Secondary deposits

Correct answer: 4. Secondary deposits

Explanation: D i.e. Secondary deposits